False statement regarding point source epidemic is:
1. Many secondary waves
2. Cases occur in clusters
3. All cases occur within one incubation period
4. Rapid rise and fall

Correct answer: 1. Many secondary waves

Explanation: Ref: Park's Textbook of Preventive and Social Medicine,22nd edition. Page 62Explanation:Types of EpidemicsCommon source epidemicPropagated epidemicSlow (Modern) epidemicPoint source2 Multiple exposure1 Person to person2 Arthropod vector3 Animat reservoir POINT SOURCE EPIDEMICCommon exposure.Single source epidemic.Cases clustered around the source.Incubation period is same (since time and source are same).All cases develop within single incubation period.No secondary waves (since single source and at the same time).Point source epidemic is:o Explosive (Clustering of cases within narrow- interval of time)o Rises rapidlyo Falls off rapidlyo Only single peako No secondary waves.Median incubation period: Time required for 50% of cases to occur following exposure.Examples:o Bhopal gas tragedyo Minamata disease in Japano Chernobyl tragedy.Epidemic Curve of Point Source EpidemicPROPAGATED EPIDEMICMost often infectious in origin.Person to person transmission possible (e.g. hepatitis A. Polio).Does not occur in single incubation period.Gradual rise and fall.No single peak - Secondary waves are always present.Depends on:o Herd immunityo Contact statuso Secondary attack rate.ExamplesA. Continuous or Repeated ExposureWomen with genital herpes having multiple sexual partners.A well with contaminated water.B. Propagated EpidemicEpidemic of cholera.Epidemic of hepatitis A.Propagated Epidemic Curve